In ceramic restoration, which can be used
1. 1.23% APF
2. 8% SnF2
3. 6% SnF2
4. 2% NaF

Correct answer: 4. 2% NaF